Nerve damaged due to lunate dislocation is :
1. Median & ulnar
2. Median
3. Ulnar
4. Radial

Correct answer: 2. Median

Explanation: In lunate dislocation, the lunate dislocates anteriorly but the rest of the carpals remain in position. Lunate dislocation can lead to median nerve injury. Severe loss of wrist movements is inevitable. Avascular necrosis of the lunate is a common complication. same nerves are injured in carpel tunnel syndrome . REF:Maheswari 9th ed pg 116